Cyclosporine uses are all except -
1. Organ transplant
2. Rheumatoid arthritis
3. Multiple myeloma
4. Recalcitrant psoriasis

Correct answer: 3. Multiple myeloma

Explanation: Ans. is 'c' i.e., Multiple myeloma o Cyclosporine is used in organ transplant (to prevent rejection) and autoimmune disorders (RA, psoriasis).